E. coli gives pink colour with -
1. Chocolate agar
2. L.J. medium
3. MacConkey's medium
4. Saline broth

Correct answer: 3. MacConkey's medium